Bankart's lesion involves the of the glenoid labrum -
1. Anterior lip
2. Superior lip
3. Antero-superior lip
4. Antero-inferior lip

Correct answer: 4. Antero-inferior lip

Explanation: Guys, this question is a controversial one as some textbooks have mentioned stripping of anterior glenoid labrum and other have mentioned anteroinferior stripping.
Yes, Bankart's lesion is the stripping of glenoid labrum and periosteum from anterior. However, more specific location is anteroinferior in the region of attachment of inferior glenohumeral ligament.
And you should also keep in mind that there is stripping of glenoid labrum and periosteum both: -"Bankart's lesion is labour-periosteal stripping from anteroinferior part of glenoid".
But you should keep in mind, that Bankart lesion can extend in the whole of the anterior glenoid labrum from inferior pole to superior pole, though the most specific location is an anteroinferior part.
So, the best answer here is an anteroinferior lip.